All of the following statements are true regarding lipoproteins except:
1. VLDL transports endogenous lipids
2. LDL transports lipids to the tissues.
3. Increased blood cholesterol is associated with increased LDL receptors
4. Increased HDL is associated with decreased risk of coronary disease

Correct answer: 3. Increased blood cholesterol is associated with increased LDL receptors

Explanation: C i.e. Increased blood cholesterol is associated with increased LDL receptors